The first investigation of choice in a patient with suspected subarachnoid haemorrhage should be -
1. Non-contrast computed tomography
2. CSF examination
3. Magnetic resonance imaging (MRI)
4. Contrast-enhanced computed tomography

Correct answer: 1. Non-contrast computed tomography

Explanation: Investigation of choice for acute SAH is non-contrast CT scan.